HIV is transmitted by all of the following routes
except
1. Saliva
2. Needle prick injury
3. Blood transmission
4. Sexual intercourse

Correct answer: 1. Saliva